Which of the following is not associated with pseudomembranous colitis?
1. Toxin A is responsible for clinical manifestation
2. Toxin B is responsible for clinical manifestation
3. Gross blood in stools is common
4. Summit lesion is early histopathological finding

Correct answer: 3. Gross blood in stools is common

Explanation: Clostridium difficile produce 5 toxins, toxin A and B are most studied and both causes pseudo membranous colitis. The “Summit” or “volcano” lesions are seen due to mucosal micro ulceration. Diarrhea is soft to watery or mucoid in consistency but never with gross blood